Structure which is not present deep to hyoglossus is:
1. Glossopharyngeal nerve.
2. Genioglossus
3. Hypoglossal nerve.
4. Lingual artery.

Correct answer: 3. Hypoglossal nerve.

Explanation: Structures present deep to hyoglossus are

Glossopharangeal nerve.
Lingual artery
Stylohyoid ligament
Genioglossus
Intrinsic muscles of tongue